Not a treatment option for psoriasis -
1. Retinoids
2. Methotrexate
3. Cyclosporine
4. Oral corticosteroids

Correct answer: 4. Oral corticosteroids

Explanation: Ans is 'd' i.e. Oral corticosteroids Treatment options for psoriasisSystemic medicineso Acitretino Cyclosporineo Razoxaneo Biological therapieso Colchicineo Antithyroid drugs (methimazole, propylthiouracil)o Methotrexateo Hydroxyureao Mycophenolate mofetilo Goldo Zidovudineo AzathioprineTopical medicines for psoriasiso Emollientso Dithranolo Salicylic acido Tazaroteneo Topical corticosteroidso Taro Vit D and Analogueso Tacrolimus and pimecrolimus